Avascular necrosis of femur head is due to which of the following artery?
1. Medial circumflex femoral artery
2. Lateral circumflex femoral artery
3. Obturator artery
4. Profunda femoris artery

Correct answer: 1. Medial circumflex femoral artery

Explanation: Reticular artery branch of medial circumflex femoral artery supplies the head of femur. In case of femur neck fracture, this artery may be occluded leading to avascular necrosis of femur head.